Low and fixed specific gravity of urine is seen in
1. Diabetes mellitus
2. Diabates insipidus
3. Chronic renal failure
4. Acute glomerulonephritis

Correct answer: 3. Chronic renal failure

Explanation: Normal specific gravity of urine is 1.015 - 1.025. Theoretical extremes are 1.003 to 1.032. The specific gravity will be decreased(hyposthenuria) in excessive water intake, in chronic nephritis, in acute glomerulonephritis, in pyelonephritis and in diabetes insipidus. It is increased(hypersthenuria) in diabetes mellitus, in nephrosis and in excessive perspiration. In chronic renal failure, the specific gravity of urine is low and fixed at 1.010 (isosthenuria). The earliest manifestation of renal damage may be the inability to produce concentrated urine. Reference : page 317-18 Textbook of Biochemistry D M Vasudevan 6th edition